Wormian bones' are features of all, EXCEPT :
1. Hypophosphatasia
2. Down's syndrome
3. Pyle's disease
4. Menke's kinky hair syndrome

Correct answer: 3. Pyle's disease

Explanation: Wormian bones (intersutural bones) can be seen in: Normal infants (up to 6 months of age) Down's syndrome Cleidocranial dysostosis Hypothyroidism Hypophosphatasia Healing phase of Rickets Osteogenesis imperfecta Otopalatodigital syndrome Kinky hair syndrome Progeria Pachydermoperiostitis Pyknodysostosis